The membrane rich in protein is:
1. Inner mitochondrial membrane
2. Outer mitochondrial membrane
3. Endoplasmic reticulum
4. All

Correct answer: 1. Inner mitochondrial membrane

Explanation: Of all the membranes inner mitochondrial membrane is rich in protein content